The major source of ammonia in kidney
1. Glutamate
2. Glutamine
3. a-ketoglutarate
4. Alanine

Correct answer: 2. Glutamine

Explanation: Glutamic acid acts as a link between amino acids and ammonia.Ammonia, which is highly toxic, arises in humans primarily from the a-amino nitrogen of amino acids. Tissues, therefore, convert ammonia to the amide nitrogen of the nontoxic amino acid glutamine. Subsequently, in kidney cells, ammonia generated on purpose from glutamine with the help of Glutaminase.Ref: Harper's biochemistry; 30th edition; Chapter 28 Catabolism of Proteins & of Amino Acid Nitrogen